Rosettes are characteristically seen in
1. Retinoblastoma
2. Melanoma
3. Dysgerminoma
4. Lymphoma

Correct answer: 1. Retinoblastoma

Explanation: Ref Robbins 7/e p1442; neuropathology for the neuroradiologist : rosette and pseudorosettes by F.J.wipopld and A.perry Rosettes consist of a Halo or spoke wheel arrangements of cells surrounding a central core or hub Rosettes may be considered primary or secondary manifestation of tumor architecture . Primary rosettes form as a characteristics growth pattern of a given tumor type, ahereas secondary rosettes result from the influence of external factors on tumors growth